Iron absorption takes place in which part of intestine
1. Duodenum
2. Ileum
3. Jejurmm
4. Colon

Correct answer: 1. Duodenum

Explanation: Almost all iron absorption occurs in the duodenum. Most of the iron in the diet is in the ferric(3+) form whereas it is the ferrous (2+) form that is absorbed.Transport of iron has occurred the DMT 1 and ferroportin.70% of iron in the body is in the hemoglobin.(Ref: Ganong's Review of medical physiology, 23rd edition, page 459)